All of the following medications may used in congestive cardiac failure, except
1. Spironolactone
2. Nitrates
3. Nesiritide
4. Trimetazidine

Correct answer: 4. Trimetazidine

Explanation: Ref Harrison 19 th ed pg 1511-12 , : 1763 Trimetazidine is a novel antiischemic agent used for the treatment of coronary conditions like angina .